Which of the following nerves lies closest to the warthin's duct
1. Hypoglossal
2. Lingual
3. Chorda tympani
4. Facial

Correct answer: 2. Lingual

Explanation: The submandibular glands are paired salivary glands that lie below the mandible on either side. They consist of a larger superficial and a smaller deep lobe that are continuous around the posterior border of the mylohyoid muscle. Important anatomical relations include the anterior facial vein running over the surface of the gland and the facial artery. The deep part of the gland lies on the hyoglossus muscle closely related to the lingual nerve and inferior to the hypoglossal nerve. The gland is surrounded by a well-defined capsule that is derived from the deep cervical fascia which splits to enclose it. The gland is drained by a single submandibular duct (Wharton's duct) that emerges from its deep surface and runs in the space between the hyoglossus and mylohyoid muscles. It drains into the anterior floor of the mouth at the sublingual papilla. There are several lymph nodes immediately adjacent and sometimes within the superficial part of the gland. Bailey & Love,25th,755.